All are true regarding blood supply increase in muscle during exercise except
1. Local metabolite
2. Sympathetic stimulation
3. Cholinergic stimulation
4. Inhibition of beta receptor

Correct answer: 4. Inhibition of beta receptor

Explanation: Ans. D. Inhibition of beta receptor.CHANGES IN MUSCLE BLOOD FLOW DURING EXERCISEThe blood flow of resting skeletal muscle is low (2-4 ml./100 g/min). The muscle blood flow can increase a maximum of about 25 fold during the most strenuous exercise.Amount of blood flow to skeletal muscles during exercise : 50 to 75 mL/min of blood per 100 g of muscle.Dilation of arterioles in skeletal muscles due to cholinergic sympathetic nerve activity and stimulation of beta-adrenergic receptors by the hormone epinephrine leads to increased blood supply.The local mechanisms maintaining a high blood flow in exercising muscle include a fall in tissue P02, a rise in tissue PCO2, and accumulation of K+, and other vasodilator metabolites. The rise in temperature further dilates the vessels.